All can be executive magistrate except -
1. Collector
2. Subcollector
3. Tehsildar
4. SSP

Correct answer: 4. SSP

Explanation: The executive magistrate is appointed by the state government; usually officers of Revenue Dept, District collector, Sub-collector or Tahasildar. REF: The Synopsis of Forensic Medicine and Toxicology 29th edition page no: 3.